Lichenoid drug eruption is caused by -
1. Chloroquine
2. Erythromycin
3. Nitrofurantoin
4. Albendazole

Correct answer: 1. Chloroquine

Explanation: Medications commonly reported to trigger a lichenoid drug eruption include:Antihypertensives - ACE inhibitors, beta-blockers, nifedipine, methyldopaDiuretics - hydrochlorothiazide, frusemide, spironolactonePhenothiazine derivativesAnti-convulsants - carbamazepine, phenytoinDrugs to treat tuberculosisAntifungal drug - ketoconazoleChemotherapeutic agents - hydroxyurea, 5-fluorouracil, imatinibAntimalarial agents such as hydroxychloroquineSulfa drugs (sulfonylureas, dapsone, mesalazine, sulfasalazine)